Inspiratory stridor is obstructive lesions of:
1. Trachea
2. Bronchus
3. Subglottis
4. Supraglottis

Correct answer: 4. Supraglottis

Explanation: STRIDOR 1. Inspiratory stridor - obstructive lesion of supraglottis of pharynx. 2. Expiratory stridor - lesion of thoracic trachea, primary and secondary bronchi 3. Biphasic stridor - lesion of glottis sub glottis and cervical trachea